Not a middle mediastinal structure ?
1. Pulmonary trunk
2. Phrenic nerve
3. Thymus
4. Heart

Correct answer: 3. Thymus

Explanation: Thymus